Which of the following species of Brucllea tends to produce more acute and aggressive presentation?
1. B.melitensis
2. B.suis
3. B.abortus
4. B.canis

Correct answer: 1. B.melitensis

Explanation: The three major species of brucella are B.melitensis, B.abortus, and B.suis B.melitensis tends to produce a more acute and aggressive presentation of all other Brucella species Ref: Textbook of microbiology; Ananthanarayan and paniker's; 10th edition; Pg: 346